Reduction of size and vascularity prior to thyroidectomy is done by
1. Lugol Iodine
2. Propylthiouracil
3. Radioiodine
4. Propranolol

Correct answer: 1. Lugol Iodine

Explanation: Ans. (a) Lugol iodineRef: Bailey and Love 26th edition Page 760* Lugol's Iodine: 10% Potassium Iodine+ 5% Iodide is used on last 10 days before surgery to make the gland firm and stronger and decreases the vascularity of gland